Post mortem staining of carbon monoxide poisoning is?
1. Deep blue
2. Bark brown
3. Bright red
4. Cherry red

Correct answer: 4. Cherry red

Explanation: Cherry red REF: Medical toxicology by Richard C. Dart Page 386; Parikh 6th Edition page 8.40, 3.10 Postmortem staining: Poisoning Staining Carbon monoxide Cherry red Cyanide Bright red/pink Burns Bright red Phosphorous Dark brown Nitrates Red brown/brown H2S Bluish green Opium Black Aniline Deep blue Asphyxia Purple/bluish violet Septic abortion Greenish brown Chlorates Chocolate brown